Gonococcus is -
1. Extracellular gram positive
2. Intracytoplasmic gram positive
3. Intracytoplasmic gram negative
4. Intranuclear gram positive

Correct answer: 3. Intracytoplasmic gram negative